Castellani's paint contains all of the following except
1. Basic fuchsin
2. Phenol
3. Benzene hexachloride
4. Boric acid

Correct answer: 3. Benzene hexachloride

Explanation: Castellani's paint is used to disinfect skin and to treat 'fungus infections of the skin. Its components are phenol, resorcinol, basic fuchsin, boric acid, and acetone.